Which of the following is the site of Louise's knees disease?
1. Proximal femur
2. Proximal tibia
3. Patella
4. Distal femur

Correct answer: 2. Proximal tibia

Explanation: Osgood-Schlatter disease: Also known as Tibial tubercle traumatic apophysitis or louise's knees disease is an inflammation of the growth plate at the tibial tuberosity. It is a type of osteochondritis. The disease is most common in active boys aged 10-15 years. It most commonly occurs in just one leg but can occur in both at the same time. The natural history is benign, with almost all cases asymptomatic by skeletal maturity, Surgical excision of residual ossicles has been described with good outcome. Ref: Apley's 8/e, page 101-03 ; B & L 24/e, page 486 ; Turek's orthopedics 6/e, page 582-83